Hand, foot mouth syndrome is caused by ~
1. Cisplatin
2. Methotrexate
3. 5 FU
4. Metvcergide

Correct answer: 3. 5 FU

Explanation: Ans. is 'c' i.e., 5FU Hand foot syndromeo Hand foot syndrome is a form erythromyelalgia manifested as tingling, numbness, pain, erythma, swelling and increased pigmentation of hands and feet,o Two most common drugs causing 'Hand foot' syndrome are:Capecitabine (most common)5-FU (2nd most common)Drugs causing 'Hand foot' syndromeCommonly associated drugso Capecitabineo Surafenibo Cytarabino 5-FUo Doxorubicin (liposomo!)Rarely associated drugso Cisplatino Cyclophosphamideo Docetaxelo Daunorubicino Etoposideo Hydroxyureao Methotrexateo Mitotaneo 6-MPo Suramino Paclitaxel